Weil's disease is caused by?
1. Leptospira
2. Plague
3. Yersinia
4. Rickettsial fever

Correct answer: 1. Leptospira

Explanation: ANSWER: (A) LeptospiraREF: Jawetz's 24th ed chapter 25Leptospira icterohaemorrhagiaeSource of Infection - Rat urine, waterDisease in Humans - Weil's diseaseClinical Findings - Jaundice, hemorrhages, aseptic meningitisLeptospirosis is also known as Weil's disease, Weil's syndrome, canicola fever, canefield fever, nanukayami fever, 7-day fever, Rat Catcher's Yellows, Fort Bragg fever, and Pretibial feverClassicactivationpathwayAntigerif'antftxxfy immune complexClq-C1r-C1sMannose-bindinglectinactivation pathwayMicrobes with terminal manose groupsMBL-MASP1 -MASP2AlternativeactivationpathwayBacteria, fungi, vims, or tumor celtsC3 (H2O)